What is the composition of Halita mouthwash?
1. 0.05% chlorhexidine, 0.05 CPC, 0.14% zinc lactate
2. 11.2% chlorhexidine, 0.05 CPC, 0.24% zinc lactate
3. 2% chlorhexidine, 0.01 CPC, 0.30% zinc lactate
4. 0.05% chlorhexidine, 0.01 CPC, 0.30% zinc lactate

Correct answer: 1. 0.05% chlorhexidine, 0.05 CPC, 0.14% zinc lactate